Amino acid required for conversion of norepinephrine to epinephrine:-
1. Lysine
2. Phenyl-alanine
3. Methionine
4. Tryptophan

Correct answer: 3. Methionine

Explanation: Norepinephrine to Epinephrine conversion requires SAM (S-Adenosyl Methionine). Enzyme involved is Phenylethanolamine N-methyl transferase. Cortisol is the activator. Synthesis of Catecholamines (Dopamine, NE and E) from Tyrosine. SAM (S - adenosyl methionine) is synthesized from dietary methionine with the help of enzyme METHIONINE ADENOSYL TRANSFERASE (MAT).